A 3-year-old child presented to the OPD with chief complaints of high-grade fever for 15 days along with a polymorphous exanthem all over the body, rhinorrhea, multiple episodes of vomiting, diarrhea and abdominal pain. O/E: - B/L conjunctival injection with limbal sparing Erythema of oral and pharyngeal mucosa Edema of hands and feet* Mild cervical lymphadenopathy at III and IV levels Lab findings: - Leucocytosis with neutrophilia and immature forms Elevated erythrocyte sedimentation rate* Elevated c-reactive protein Anemia Abnormal plasma lipids Hypoalbuminemia Hyponatremia. Coronary angiogram What should be the most important next step in the management of the child: -
1. Start on IVIg only
2. Start on aspirin only
3. Start on both IVIg and aspirin
4. Start on Clopidogrel only

Correct answer: 3. Start on both IVIg and aspirin

Explanation: This is a case of Kawasaki's disease presenting with coronary artery aneurysms. Image 1 shows classical strawberry tongue in Kawasaki's disease. Image 2 shows congestion of bulbar conjunctiva. Image 3 shows coronary artery aneurysms. Kawasaki disease (KD): - Also called as mucocutaneous lymph node syndrome and infantile polyarteritis nodosa. Predominantly affects the medium-size arteries Coronary arteries are the most commonly involved. Coronary artery aneurysms develop in up to 25% of untreated patients in the 2nd to 3rd wk of illness. In acute stage, treatment with both Aspirin and IVIg is started.